In adults seeking orthodontic treatment with esthetic appliances, the following may be choices EXCEPT:
1. Lingual orthodontics
2. Ceramic brackets
3. Clear aligner therapy
4. Titanium brackets

Correct answer: 4. Titanium brackets

Explanation: For 15- to 17-year-olds, clear aligners or esthetic brackets with a clear wire are considered most attractive. For this group, clear aligners can make sense because the permanent teeth are fully erupted and rapid growth is completed. Adults prefer lingual appliances, clear aligners, or esthetic brackets, especially when combined with a clear wire. The spectrum changes from unique and colorful for children to esthetic appliances with older adolescents and adults. With this combination of acceptable alternatives, it is possible to meet esthetic demands and accomplish the biomechanics for almost every patient.